Secondary amenorrhoea after abortion due to intrauterine adhesions is seen in :
1. Uterine inertia
2. Imperforate hymen
3. Bicornuate uterus
4. Asherman's syndrome

Correct answer: 4. Asherman's syndrome

Explanation: Asherman's syndrome